KFD is caused by?
1. Flavivirus
2. Myxovirus
3. Alphavirus
4. Phlebovirus

Correct answer: 1. Flavivirus

Explanation: Ans. (a) FlavivirusRef: Jawetz 24thed ch-38